Which of the following findings are highly predictive of placenta accreta
1. Large intraplacental lakes; fundal placenta.
2. Less than 1mm between uterine serosa - bladder interface and retroplacental vessels ; lateral placenta.
3. Less than 1 mm between uterine serosa - bladder interface and retroplacental vessels ; large placental lakes.
4. None of the above.

Correct answer: 3. Less than 1 mm between uterine serosa - bladder interface and retroplacental vessels ; large placental lakes.

Explanation: If distance between uterine serosa-bladder wall interface and retroplacental vessels is <1mm and if there are large intraplacental lacunae → placenta accreta is likely.